Most common operation done by an Ophthalmologist in district hospital:
1. Phacoemulsification
2. Trabeculectomy
3. Bilateral lamellar tarsal rotation
4. Dacrocystorhinostomy

Correct answer: 1. Phacoemulsification

Explanation: Most common Ophthalmologic services at District hospital: Cataract surgery with IOL implantation is the most common surgery at District hospital ECCE + IOL is most commonly followed by phacoemulsifaction.